Deficiency of which vitamin can lead to Methyl ma- lonic aciduria:
1. Pyridoxal Phosphate
2. Vitamin-C
3. Vitamin-B12
4. Folic acid

Correct answer: 3. Vitamin-B12

Explanation: Ans. is 'c' i.e., Vitamin B12 o Vitamin B12 deficiency is associated with methyl malonyl aciduria.o Methylmalonyl CoA is increased in vitamin B12 deficiency.o Folate trap, megaloblastic anemia and subacute combined degeneration (SACD) occur in vitamin B12 deficiency.o Vitamin B12 acts as a coenzyme for conversion of homocysteine to methionine. The reaction is catalyzed by methionine synthase (cobalamine-dependent methionine synthase) also called homocysteine methyltransferase (5- methyltetrahydrofolate-homocysteine methyltransferase).o Isomiration of methylmalonyl CoA to succinyl CoA by methylmalonyl CoA isomerase requires vitamin B12 as deoxyadenosylcobalamine.